Diluent for trimethoprim in antibiotic disc for sensitivity testing is
1. Na OH solution
2. Na hco3
3. Ethanol
4. Acetic acid

Correct answer: 4. Acetic acid

Explanation: Diluent for trimethoprim in antibiotic sensitivity testing is acetic acid Sod bicarbonate for amoxicillin and ceftazidime Ref: Textbook of Microbiology Baveja 4th ed Pg 629